Kisselbach's plexus is formed by septal branches of all except -
1. Posterior ethmoidal artery
2. Anterior ethamoidal artery
3. Sphenopalatine artery
4. Greater palatine artery

Correct answer: 1. Posterior ethmoidal artery